All are the features of Korsakoff's syndrome except :
1. Confabulation
2. Retrograde amnesia
3. Antegrade amnesia
4. Defective motor skill

Correct answer: 4. Defective motor skill

Explanation: "Korsakoff syndrome is an irreversible chronic encephalopathy with antegrade and retrograde amnesia and confabulation".